Criteria for assessment of severity of disease in ICU is:
1. APACHE II
2. Glassgow scale
3. Apgar score
4. Bishop score

Correct answer: 1. APACHE II

Explanation: Ans. A: APACHE II APACHE II ("Acute Physiology and Chronic Health Evaluation II") is a severity of disease classification system, one of several ICU scoring systems. After admission of a patient to an intensive care unit, an integer score from 0 to 71 is computed based on several measurements; higher scores imply a more severe disease and a higher risk of death.